A patient presents 1 month after a benign right breast biopsy with a lateral subcutaneous cord felt just under the skin and causing pain. The etiology of this condition is?
1. Fat necrosis
2. Infection
3. Superficial thrombophlebitis
4. Suture granuloma

Correct answer: 3. Superficial thrombophlebitis

Explanation: This entity is known as Mondor's disease and is caused by superficial thrombophlebitis usually induced by surgery, infection, or trauma. The process is self-limiting and resolves within 2-10 weeks.